All of the following are structures associated with pterygopalatine fossa, EXCEPT:
1. Pterygopalatine ganglion
2. Mid third of maxillary artery
3. Maxillary nerve
4. Greater petrosal nerve

Correct answer: 2. Mid third of maxillary artery

Explanation: The pterygopalatine fossa is the region between the pterygomaxillary fissure and the nasal cavity. The fossa accommodates branches of the maxillary nerve , the pterygopalatine ganglion, the terminal branches of the maxillary artery, and greater superficial petrosal nerve.